GATHER approach of counselling is used for
1. Communication of breast cancer prognosis
2. Breaking any bad news
3. Contraceptives
4. All of the above

Correct answer: 3. Contraceptives

Explanation: GATHER approach can be used for aouncelling about contraceptives.
GATHER :

G - Greet the client.
A - Ask reason for coming.
T - Telling different options / choices.
H - Help client for volentary deision.
E - Explain fully about the chosen decision / method.
R - Return for follow - up - visit.